Chronic malnutrition diagnosis is based upon?
1. Decreased weight for age
2. MAC<11.5cm
3. <3.5 gm% serum protein
4. Decreased height for age

Correct answer: 4. Decreased height for age

Explanation: Ans. (d) Decreased height for ageRef: Nelson 18th ed., Chapter 14* Height for age is used for chronic malnutrition which leads to Stunting. The term "stunting" is used to describe a condition in which children fail to gain sufficient height, given their age.* In acute malnutrition the best parameter used is weight for height.